Winging of scapula is due to which of these conditions?
1. Long thoracic nerve palsy
2. Thoraco-dorsal nerve palsy
3. Erb's palsy
4. Klumpke's palsy

Correct answer: 1. Long thoracic nerve palsy

Explanation: Winging of scapula is due to the paralysis of Serratus anterior muscle which is supplied by long thoracic nerve . Long thoraic nerve damage causes paralysis of Serratus muscle. FEATURES: 1)Medial border of the bone becomes unduly prominent 2)Arm cannot be abducted 90 degrees. REF:B D Chaurasia 7th edition Page no: 45. Figure :3.9,page no:38-Vishram Singh - upper limb& thorax, 2nd edition